Group B nerve fibres area) Sympathetic preganglionicb) Sympathetic postganglionicc) Parasympathetic preganglionicd) Parasympathetic post ganglionic
1. a
2. bc
3. ac
4. b

Correct answer: 3. ac

Explanation: Types of nerve fibers
A fibers are fast fibers.
-        Aα- Somatic motor to extrafusal fibers of muscle spindle, proprioception
-        Aβ- Kinesthetic, pressure and touch
-        Aγ- Motor to intrafusal fibers of muscle spindle
-        Aδ-  Pain, temperature, touch and pressure
-        B fibers- Autonomic preganglionic (Myelinated)
-        C fibers- Pain, temperature, autonomic postganglionic (mainly sympathetic)